Most Common site of perilymph fistula is
1. Round window
2. Oval window
3. Otic capsule
4. Attic

Correct answer: 2. Oval window

Explanation: In this condition perilymph leaks into the middle ear. Footplate of stapes is fixed on oval window. It can occur as a complication of stapedectomy, or ear surgery when stapes is dislocated, and also from sudden pressure change in the middle ear. (Ref: Diseases of EAR, NOSE AND THROAT by PL DHINGRA - 6th Edition)